Which of the following statement is true about left phrenic nerve?
1. Lies anterior to anterior scalenus muscle
2. Posterior to brachial plexus
3. Posterior to subclavian artery
4. Posterior to hilum left lung

Correct answer: 1. Lies anterior to anterior scalenus muscle

Explanation: The phrenic nerve arises from the neck from the anterior rami of the 3rd, 4th and 5th cervical nerves. It is formed at the lateral border of the scalenus anterior, opposite the middle of the sternocleidomastoid at the level of the upper border of the thyroid cartilage. Phrenic nerve (C3-C5) courses vertically along the anterior scalene muscle between the subclavian artery and the subclavian vein en route to innervate the diaphragm. It is related anteriorly toPrevertebral fasciaInf. belly of omohyoidTransverse cervical arterySuprascapular arteryInternal jugular veinSternocleidomastoid musThoracic duct on left sideRef: Morton D.A., Foreman K.B., Albertine K.H. (2011). Chapter 25. Overview of the Neck. In D.A. Morton, K.B. Foreman, K.H. Albertine (Eds), The Big Picture: Gross Anatomy.